Atrial fibrillation occurs in all except
1. Mitral stenosis
2. Hypothyroidism
3. Dilated cardiomyopathy
4. Mitral regurgitation

Correct answer: 2. Hypothyroidism

Explanation: Atrial fibrillation can occur in hyperthyroidism, not hypothyroidism. Other causes are: CAD Valvular heart diseases Hypertension Sinoatrial disease Alcohol Cardiomyopathy Congenital heart disease Chest infection Pulmonary embolism Pericardial disease Idiopathic Reference Harrison 20th edition pg 1433